Tympanoplasty is mainly used for
1. Otosclerosis
2. CSOM
3. ASOM
4. None

Correct answer: 2. CSOM

Explanation: CSOM is usually associated with tympanic membrane and ossicular damage. These are managed by tympanoplasty which includes myringoplasty and ossicular reconstruction Re: Textbook of Ear, Nose and Throat, Dhingra, 6th Edition